Gamma amino butyrate is synthesized from
1. Fumarate
2. Glutamate
3. Histidine
4. Glycine

Correct answer: 2. Glutamate

Explanation: Gamma-aminobutyric acid or GABA is formed by decarboxylation of glutamate in presence of enzyme glutamate decarboxylase.Ref: DM Vasudevan - Textbook of Biochemistry, 7th edition, page no: 224, Fig 17.2